Which of the following statements regarding diagnosis of Malaria are true?
1. Thin blood film is used to determine parasite concentration.
2. Thick blood film is used to detect plasmodium species causing infection.
3. Jaswant Singh Bhattacharya (JSB) Stain is used.
4. As the sensitivity of microscopy is low, it is useful to detect parasite load at high concentrations only.

Correct answer: 3. Jaswant Singh Bhattacharya (JSB) Stain is used.

Explanation: - Option - 1 - False - Thin film is used to detect species of plasmodium causing infection As thin film is air dried in 10 mins & fixed with methanol, morphology of parasite is not destroyed, hence species can be identified - Option - 2 - False - Thick film is used to detect malarial infection & its concentration in blood. As thick film is dried slowly by taking 30 mins, hemolysis can occur resulting in destroying the morphology of parasite. Hence, species cant be determined. - Option - 3 - True - Jaswant Singh Bhattacharya (JSB) Stain is used in both blood films - Option- 4 - False - As the sensitivity of microscopy is high, It is possible to detect malarial parasite at low densities.